Trisomy 13 is:
1. Patau syndrome
2. Edward syndrome
3. Down syndrome
4. Di George syndrome

Correct answer: 1. Patau syndrome

Explanation: a. Patau syndrome(Ref: Nelson's 20/e p 590, Ghai 8/e p 641)Important features of Trisomy 13 (Patau Syndrome)"CMC DOCTOR OPD"C: Cutis aplasiaD: DeafnessO: Others (Renal abnormalities)M: Microphthalmia, MicrocephalyO: Ocular hypotelorismP: PolydactylyC: Congenital Heart diseasesC: Cleft lip & cleft palateD: Developmental delayT: Trisomy 13O: hOLOprosencephalyR: Rib abnormalities